True hermaphroditism is when?
1. Tissues of both the ovaries and testes are present
2. Both external genitalia are present
3. When behaviour of the child doesnt match his true sex
4. None of the above

Correct answer: 1. Tissues of both the ovaries and testes are present

Explanation: ANSWER: (A) Tissues of both the ovaries and testes are presentREF: Harrisons 18ch ed chapter 349True hermaphroditism is a medical term for an intersex condition in which an individual is born with ovarian and testicular tissue.Pseudohermaphroditism, or pseudo-hermaphroditism, is the condition in which an organism is bom with secondary sex characteristics or aphenotype that is different from what would be expected on the basis of the gonadal tissue (ovary or testis)